Section 377 deals with -
1. Adultery
2. Rape
3. Incest
4. Unnatural sexual offence

Correct answer: 4. Unnatural sexual offence

Explanation: Section 377 IPC defines unnatural sexual offences and lays down punishment for the same.